Substrate level phosphorylation in glycolysis is seen in -
1. Pyruvate kinase
2. Succinatethiokinase
3. Enolase
4. PDH

Correct answer: 1. Pyruvate kinase

Explanation: Ans. is 'a' i.e.. Pyruvate kinase o Amongst the given options, two enzymes induce substrate level phosphorylation :Pyruvate kinase - in glycolysisSuccinate thiokinase - in TCA cycleo Succinyl-CoA is converted to succinate by the enzyme succinate thiokinase (succinyl-CoA synthetase). This is the only example in the citric acid cycle of substrate level phosphorylation.